Rash of chicken pox is -
1. Deep seated
2. Centripetal distribution
3. Monomorphic
4. Umblicated

Correct answer: 2. Centripetal distribution

Explanation: Ans. is 'b' i.e., Centripetal distribution o Clinical features of chicken pox has two stages :-1) Pre-eruptive stage# Characterized by fever, back pain, malaise and shivering.2) Eruptive stage# It is characterized by a characteristic rash with following features (which must be differentiated from rash of small pox) :-i) Superficial and unilocular (rash of small pox is deep seated and multilocular).ii) Symmetrical, mostly on flexor surface (rash of small-pox usually affect extensor surface).iii) Centripetal distribution (rash of smallpox has centrifugal distribution).iv) Affects axilla but spares palms and soles (rash of small-pox affects palms and soles but spares axilla).v) Pleomorphic, with appearance of all stages of rash simultaneously (rash is monomorphic in nature in small-pox).vi) Dew-drop on rose petal apperance (rash of small-pox has umblicated apperarance).vii) Area of inflammation around the rash (in small-pox there is no inflammation around the rash).viii) Evolution of rash is rapid, scabs begin to form 4-7days after rash (evolution is slow, scabs begin 10-14 days after rash).